Which of the following condition does not present with both mullerian and wolffian duct structures
1. Antimullerian hormone deficiency
2. FSH receptor mutation
3. Ovotesticular syndrome
4. Mixed gonadal dysgenesis

Correct answer: 2. FSH receptor mutation

Explanation: Mixed gonadal dysgenesis: Ambiguous external genetalia at birth, Usually the patient come around puberty with features of masculinisation or primary amenorrhoea. karyotype is usually 45,XO/46,XY AMH Defeciency: AMH is a hormone that inhibits the development of the Mullerian ducts in the male embryo. IHence in men with inadequate embryonal AMH activity can lead to the Persistent mullerian duct syndrome, in which a rudimentary uterus is present and testes are usually undescended Ovotestis: True hermaphroditism. Rare condition charecterised by mixed ovarian and testicular tissue which may include bilateral ovotestis or an ovotestis and a contralateral ovary or testis. FSH receptor mutation: Mainly presents as primary amenorrhea. results in failure of gonadotropin binding or signal transduction and failure of follicular development thus agan leading to hypergonadotropic hypogonadism Ref: Clinical Gynecologic Endocrinology and Infertility; Eigth edition; chapter 9